Drugs that can be used for the treatment of hypertension in a diabetic patient are:
1. Losartan
2. Captopril
3. Amlodipine
4. All of these

Correct answer: 4. All of these